Storage form of proteins in humans:
1. Titin
2. Collagen
3. Starch
4. None

Correct answer: 4. None

Explanation: Body has no specialized cells to store protein efficiently, that's why eating proteins regularly is important Body maintains amino acid pool from where proteins can be synthesized but essential amino acids must come in food. Storage form of carbohydrates In plants is starch In animals is glycogen Storage form of fats is TGs (Triglycerides).